Kata Thermometer is used to measure -
1. Maximum temperature
2. Minimum temperature
3. Radiant heat
4. Coolling power of air

Correct answer: 4. Coolling power of air

Explanation: Kata thermometer is alcholholic thermometer with a glass bulb 4 cm long and 1.8 cm in diameter.reading on stem from 100 deg F to 95 deg F. 2 instruments are used,one bulb covered by wet muslin cloth - wet kata and other dry kata.both are dipped in hot water till wram them above 130 deg F.then both are suspended in air at point of observation.The time taken to fall from 100- 95 deg F is noted.Each kata has a Kata factor.This factor divided by average cooling time gives the rate of cooling in millicalories per sq .centimeter per second. The Kata thermometer is devised tomeasure the cooling power of air.It is also used as anemometer for recording low air velocities Parks textbook of preventive and social medicine.K Park. Edition 23. page no:747